Which of the following is most serious type of psoriasis is -
1. Chronic plaque psoriasis
2. Generalized pustular psoriasis
3. Guttate psoriasis
4. Flexural psoriasis

Correct answer: 2. Generalized pustular psoriasis

Explanation: Ans is 'b' i.e. Generalized pustular psoriasis o Erytherodermic and generalized pustular psoriasis (Von Zumbusch type) are can become dermatological emergencies. They are the most severe forms.o Chronic plaque psoriasis is the most common form (80%).